A 42-year-old woman is noted to have Type II diabetes for 20 years. She is noted to have hypeension with BP in the 150/94 range. The urinalysis shows mild proteinuria. Wof drugs would be the best to treat the hypeension in this individual
1. Enalapril
2. Hydrochlorothiazide
3. Propranolol
4. Nifedipine

Correct answer: 1. Enalapril

Explanation: ANGIOTENSIN CONVEING ENZYME (ACE) INHIBITORS Enalapril has similar effects as captopril, but may offer ceain advantages 1. More potent, effective dose 5-20 mg OD or BD. 2. Its absorption is not affected by food. 3. Onset of action is slower (due to need for conversion to active metabolite), less liable to cause abrupt first dose hypotension. 4. Has a longer duration of action: most hypertensives can be treated with single daily dose. 5. Rashes and loss of taste are probably less frequent Of paicular mention are their renal blood flow improving action, their potential to retard diabetic nephropathy and their capacity to regress left ventricular/vascular hyperophy. They are the most appropriate antihypeensives in patients with diabetes, nephropathy (even nondiabetic), left ventricular hyperophy, CHF, angina and post MI cases. Ref:- kd tripathi; pg num:-502,561